Hirschsprung colon is due to
1. Muscle atrophy in muscularis mucosa
2. Loss of intrinsic enteric plexuses
3. Loss of extrinsic nerve supply
4. None

Correct answer: 2. Loss of intrinsic enteric plexuses

Explanation: Hirschsprung's Disease (Congenital Megacolon) The term 'megacolon' is used for any form of marked dilatation of the entire colon or its segment may occur as a congenital or acquired disorder. Congenital form: congenital absence of ganglion cells in the bowel wall (enteric neurons) is called Hirschsprung's disease. As a result, the aganglionic segment remains contracted. Gross: shows 2 segments, a distal narrow segment that is aganglionic and a dilated proximal segment that contains normal number of ganglion cells Microscopy: distal narrow segment shows total absence of all the three plexus( Auerbach's, Here's, and Meissner's plexus) TEXTBOOK OF PATHOLOGY 6TH EDITION HARSH MOHAN PAGE NO:580 IMAGE REFERENCE: